Which can cause profound hyperlipidemia?
1. Hypoparathyroidism
2. Hypothyroidism
3. Hyperparathyroidism
4. Hyperthyroidism

Correct answer: 2. Hypothyroidism

Explanation: Answer is B (Hypothroidism): The two most common Endocrine causes of Secondary Dyslipidemia are Type-2 Diabetes Mellitus and Hypothyroidism. Type-2 Diabetes Mellitus is the single most common endocrine cause of Secondary Dyslipidemia followed by Hypothyroidism.